which of the following is a SARI
1. mirtazapine
2. milnacipran
3. clozapine
4. nefazadone

Correct answer: 4. nefazadone

Explanation: SARI * IMPORTANCE antidepressant with good sleep, no sexual problems and no GI side effects. It was thought this would replace SSRI but dint do well because of notorious side effects * MECHANISM Serotonin antagonist and reuptake inhibitor * DRUGS Trazodone Nefazodone * USE low dose trazodone is used as a hypnotic * SIDE EFFECTS Trazodone----------- priapism Nefazodone ---------hepatotoxicity Ref. kaplon and sadock, synopsis of psychiatry, 11 th edition, pf no. 955